Anticholinesterase with effect on CNS is:
1. Neostigmine
2. Pyridostigmine
3. Physostigmine
4. Edrophonium

Correct answer: 3. Physostigmine